Antinuclear antibodies are seen in -
1. SLE
2. Systemic sclerosis
3. Morphea
4. All

Correct answer: 4. All

Explanation: Ans. is 'a' i.e., SLE; 'b' i.e., Systemic sclerosis & 'c' i.e., Morphea